Regarding hemorrhagic disease of newborn all are true except
1. Occur due to low level of vitamin-K dependent clotting factors
2. Classic hemorrhagic disease is usually apparent 2 → 5 days after birth
3. Delayed hemorrhage occurs in exclusively breast-fed infants at 2 → 12 weeks
4. Oral administration of vitamin K antenatally to mother is a effective preventive measure

Correct answer: 4. Oral administration of vitamin K antenatally to mother is a effective preventive measure

Explanation: Maternal vitamin K administration results in very little transport to fetus.